Tracheostomy reduces dead space by -
1. By-passing upper airway
2. Increasing V/Q ratio
3. Raising airflow resistance
4. By all of the above mechanisms

Correct answer: 1. By-passing upper airway

Explanation: Ans. is 'a' i.e., By-passing upper airway o Important effects of tracheostomy on respiratory physiologya) Tracheostomy decreases dead space as upper air ways and nasal cavity are bypassed.b) Tracheostomy decreases ventilation/perfusion (V/Q) ratio. Increased dead space increases ventilation/perfusion ratio as the dead space (containing air) is ventilated but not perfused for gaseous exchange. Tracheostomy decreases the dead space, therefore it will decrease the V/Q ratio.c) Tracheostomy reduces the airflow resistance